A large for gestational age baby delivered at 40 weeks was observed to be lethargic. The Blood sugar was measured to be 35mg/dl. The management is __________
1. Fortified Breast Milk
2. 10% IV Dextrose
3. Oral Glucose Solution
4. Normal saline

Correct answer: 2. 10% IV Dextrose

Explanation: .A plasma glucose level of less than 30 mg/dL (1.65 mmol/L) in the first 24 hours of life and less than 45mg/dL (2.5 mmol/L) thereafter constitutes hypoglycemia in the newborn. Dextrose also has medical purposes, Because dextrose is a "simple" sugar, the body can quickly use it for energy. Simple sugars can raise blood sugar levels very quickly, and they often lack nutritional value. Reference: GHAI Essential pediatrics, 8th edition